Which part of the intrahepatic bile duct is involved in Type 2 cholangiocarcinoma ?
1. Division of both ducts and not extending outside
2. Common hepatic duct only
3. Secondary hepatic ducts
4. Extends beyond hilum

Correct answer: 1. Division of both ducts and not extending outside

Explanation: Cancers of the hepatic duct bifurcation have also been classified according to their anatomic location (BISMUTH'S CLASSIFICATION). In this system, Type I tumors are confined to the common hepatic duct. Type II tumors involve the bifurcation without involvement of secondary intrahepatic ducts. Type IIIa involves right secondary intrahepatic duct, Type IIIb involves left secondary hepatic duct. Type IV tumors involve the secondary intrahepatic ducts on both sides.